Moschcowitz repair is done in case of
1. Urethrocele
2. Enterocele
3. Vaginal vault prolapse
4. Genital prolapse in pregnancy

Correct answer: 2. Enterocele

Explanation: Enterocele is repaired by Moschcowitz repair.